Chondritis of aural cartilage is most commonly due to which of the following?
1. Staphylococcus
2. Pseudomonas
3. Candida
4. Both staphylococcus and Pseudomonas

Correct answer: 2. Pseudomonas

Explanation: Perichondritis results from infection secondary to lacerations, haematoma or surgical incisions. It can also result from the extension of infection from diffuse otitis externa or a furuncle of the meatus. Pseudomonas and mixed flora are common pathogens. (Ref: Textbook of ENT, PL Dhingra, 7th edition, pg no. 53)